Most number of false positives by a screening test is because of?
1. High specificity
2. High sensitivity
3. High prevalence
4. Low prevalence

Correct answer: 4. Low prevalence

Explanation: ANSWER: (D) Low prevalenceREF: Park 20ch edition page 128More prevalent disease gives less is the number of false positiveLess prevalent disease gives more is the number of false positiveHighly specific screening test gives few false positiveHighly sensitive screening test gives few false negative